Mosquito net hole diameter is-
1. 0.02 inch
2. 0.0475 inch
3. 0.5 inch
4. 0.1 inch

Correct answer: 2. 0.0475 inch

Explanation: Ans. is 'b' i.e., 0.0475 inch o The best pattern of mosquito net is the rectangular net.o There should not be a single rent in the net.o The Size of openings in the net is of utmost importance, the size should not exceed 0.0475 inch in any diameter.o The number of holes in one square inch in usually 150.